Schizophrenia results with ?
1. Increased GABA
2. Decreased norepinephrine
3. Increased dopaminergic activity
4. Decreased dopaminergic activity

Correct answer: 3. Increased dopaminergic activity

Explanation: Ans. is 'c' i.e., Increased dopaminergic activity o Dopamine hypothesis is the most accepted hypothesis for schizophrenia. There is hyperactivity of dopaminergic system. This hypothesis is supported by: 1) Amphetamine and cocaine which release dopamine in central synapses induce schizophrenia like symptoms; and 2) Antipsychotic drugs control the schizophrenic symptoms by blockingdopamine (D2) receptors. However, the dipamine hypothesis has been questioned also as Homo vanillic acid (HVA the principal metabolite of dopamine) is not elevated and prolactin level is not decreased (Dopamine has inhibitory action on prolactin release).o Other neurotransmitters involved are : - Increased serotonin, Decreased GABA, variable change (Increased or decreased) glutamate, and increased norepinephrine.